All of the following are poor prognostic factors in a case of acute myeloid leukemias, except:
1. Age more than 60 years
2. Presence of t(8:21)
3. Secondary leukemias
4. Leucocyte count more than 1,00,000/microl

Correct answer: 2. Presence of t(8:21)

Explanation: Patients t(8;21) and inv(16) has a good prognosis, approximately 55% of these patients are cured. t(15:17) is associated with a very good prognosis, while those without any cytogenetic abnormality have a moderately favorable outcome. Ref: Harrison's Internal Medicine, 18th Edition, Chapter 109